Which of the following is a RNA virus -
1. Herpes virus
2. Adenovirus
3. Poxvirus
4. Picornavirus

Correct answer: 4. Picornavirus

Explanation: Ans. is 'd' i.e., Picornavirus DNA virusesPoxviridae: Variola, vaccinia, cowpox, monkeypox, tanapox, molluscum contagiosumHerpesviridae: HSV-1, HSV-2, varicella-zoster, EBV, CMV, HTLV-1, RK-virusAdenoviride: AdenovirusParvoviridae: Parvovirus, Adenosatellovirus, DensovirusPapovaviridae: Papilloma virus (HPV), PolyomavirusHepadnaviridae: Hepatitis-B virus RNA VirusesPicornaviridae: Poliovirus, Coxsackievirus, Echovirus, Enterovirus, Rhinovirus, Hepatitis A virusCaliciviridae: Norwalk virus, Hepatitis E virusTogaviridae: Rubella virus, Eastern equine encephalitis virus, Western equine encephalitis virusFlaviviridae: Yellow fever virus, Dengue virus, St. Louis encephalitis virus, West nile virus. Hepatitis C virus, Hepatitis G virusCoronaviridae: CoronavirusesRhabdoviridae: Rabies virus, Vesicular stomatitis virusFiloviridae: Marburg virus, Ebola virusParamyxoviridae: Parainfluenza virus, Respiratory syncytial virus, Newcastle disease virus , Mumps virus. Rubeola (measles) virusOrthomyxoviridae: Influenza virus